Which of the following is not a feature of rosacea?
1. Flushing
2. Telangiectasia
3. Mucosal ulcerations
4. Rhinophyma

Correct answer: 3. Mucosal ulcerations

Explanation: Rosacea is a chronic disease affecting fair skinned middle aged adults characterised by flushing and telangiectasia in early stage, papules and pustules in inflammatory stage, papules and induction and rhinophyma in chronic stage. Ref: Rook textbook of Dermatology, 8th edition, Page : 43.1-3